Insulin increases the activities of all of the following enzymes, EXCEPT:
1. Glucokinase
2. Pyruvate carboxylase
3. Glycogen synthase
4. Acetyl-CoA carboxylase

Correct answer: 2. Pyruvate carboxylase

Explanation: B i.e. Pyruvate carboxylase Insulin increases lipogenesis (i.e. FA, TG & glycerol P synthesis) and decrease lipolysis and so free fatty acid levelQ - Insulin activate acetyl CoA carboxylase (rate limiting enzyme of FA synthesis), activate lipoprotein lipase (so increasing TG synthesis) but inhibits hormone sensitive lipase.Q - Insulin decreases gluconeogenesis by inactivating pyruvate carboxylaseQ etc and increases glycolysis by inducing phosphofructokinase and pyruvate kinase enzymesQ.